An extracted tooth which is filled with class 1 amalgum in it should be disposed in/as:
1. Red bag
2. Incineration.
3. Yellow bag
4. Pack in air tight bag and send for recycling.

Correct answer: 4. Pack in air tight bag and send for recycling.

Explanation: Mercury produce should never be incinerated. No dangerous waste or amalgam is to be placed in the infectious waste "red bag". This would include extracted teeth with amalgam. All the forms of mercury waste should be collected into air tight container and be sent for recycling.